Callous and unemotional traits (CU) which includes disregard for others, and lack of empathy and generally deficient affect are considered as a specifier for which disorder in DSM V
1. Borderline Personality disorder
2. Histrionic Personality disorder
3. Conduct disorder
4. Oppositional defiant disorder

Correct answer: 3. Conduct disorder